Characteristic of an ideal gas is
1. Volume is directly proportional to change in pressure
2. Volume is inversely proportional to change in temperature
3. At absolute temp. volume of gas is 1
4. Obeys Carles, Byles and Avagadro' laws

Correct answer: 4. Obeys Carles, Byles and Avagadro' laws

Explanation: D i.e. Obeys Charles, boyle's & avogadro's laws